Pharmacodynamics deals with -
1. Effect of drugs on body
2. Effect of body on drugs
3. Absorption of drugs
4. Metabolism of drugs

Correct answer: 1. Effect of drugs on body

Explanation: Ans. is 'a' i.e., Effect of drugs on body o Pharmacodynamics is the study dealing with effect of drugs on body. It includes action of drugs as well as their mechanism.o Pharmakokinetics is the quantitative study of drug movement, in through and out of the body. That means, it is the study of the effect of body on the drug. So, it is also known as ADME study as it deals with Absorption, Distribution, Metabolism and Excretion of a drug.RememberPharmacodynamics (D) - Drug does to bodyPharmacokinetics -Body does to drug